True about iron is
1. Parenteral iron is indicated when anemia response slowly to oral iron
2. Ferrous sulphate 200mg has less elemental iron then the same dose of ferrous gluconate
3. Sustained release iron is a useful way of giving larger doses
4. Absorption of iron is increased by ascorbic acid

Correct answer: 4. Absorption of iron is increased by ascorbic acid

Explanation: . Absorption of iron is increased by ascorbic acid